Hypochloremic alkalosis is a complication of -a) Congenital pyloric stenosisb) Vomitingc) Haematemesisd) Aspirin intoxication
1. ad
2. ab
3. bd
4. cd

Correct answer: 2. ab